Wilson's disease is?
1. AR
2. AD
3. XR
4. XD

Correct answer: 1. AR

Explanation: Ans. is 'a' i.e., AR o Wilson's disease is an autosomal recessive disorder.Autosomal recessive disorders1) Metabolic - Cystic fibrosis, Phenyl ketonuria, Galactosemia, Homocystinuria, Lysosomal storage dis, al- antitrypsin deficiency, Wilson disease, Hemochromatosis, Glycogen storage disorders2) Hematological - Sickle cell anemia, Thalassemias3) Endocrine - Congenital adrenal hyperplasia (some variants), Albinism4) Skeletal - EDS (some variants) Alkaptonuria5) Nervous -Friedreich ataxia, Spinal muscular atrophy, Neurogenic muscular atrophies, Ataxia Telegiectasia.